Tumor marker for medullary carcinoma of thyroid is:
1. Albumin
2. TSH
3. Thyroglobulin
4. Calcitonin

Correct answer: 4. Calcitonin

Explanation: Ans. (d) CalcitoninRef: Bailey and Love 26th ed. ch. 51 / 764* Medullary thyroid cancer is a rare form of thyroid cancer and accounts for 3 to 10% of all thyroid cancers. It grows from specialized thyroid cells called parafollicular cells.* Parafollicular cells-C-cells; specialized thyroid cells that secrete calcitonin and play a major role in diagnosis of medullary thyroid cancer.